A primi comes in second state of labour with ROP presentation. The management is :
1. Immediate cesarean section
2. Forceps application
3. Watchful expectancy
4. Internal podalic version

Correct answer: 3. Watchful expectancy

Explanation: Watchful expectancy